Which of the following is not seen after removal of testis in an adult?
1. Loss of libido
2. Impotence
3. Muscle weakness
4. Decrease FSH

Correct answer: 4. Decrease FSH

Explanation: Follicle-stimulating hormone (FSH) is a gonadotropin, a glycoprotein polypeptide hormone. FSH is synthesized and secreted by the gonadotropic cells of the anterior pituitary gland, and regulates the development, growth, pubertal maturation, and reproductive processes of the body Ref: guyton and hall textbook of medical physiology 12 edition page number:629,639,631